The Iridocorneal endothelial syndrome is associated with-
1. Progressive atrophy of iris stroma
2. Bilateral stromal edema of iris & cornea
3. Deposition of collagen in Descemet's membrane
4. Deposition of glvcosaminoglvcan in Descemet's membrane

Correct answer: 1. Progressive atrophy of iris stroma

Explanation: Ans. is 'a' i.e. Progressive atrophy of iris stroma Iridocorneal endothelial (ICE) syndrome is characterized by abnormal corneal endothelium which causes -Iris atrophySecondary angle closure glaucoma in association with characteristic peripheral anterior synechiaeCorneal edemaThere are three clinical variations Iris nevus or Cogan Reese syndrome - Variable & less severe iris atrophy. Tan, pedunculated nodules appear on anterior iris surface.